Nerve of Grassi is related to?
1. Facial nerve
2. Glossopharyngeal nerve
3. Vagus nerve
4. Hypoglossal nerve

Correct answer: 3. Vagus nerve

Explanation: The nerve of Grassi is one of the branches of posterior vagal trunk that supplies the gastric fundus. It provides parasympathetic supply. -Reference: Textbook of anatomy, Abdomen and Lower limb, Vishram Singh, 2nd edition, page no.102